Cleft like space in atheromatous plaque contains
1. Cholesterol crystals
2. Smooth muscle cells
3. Fibrous tissue
4. None of these

Correct answer: 1. Cholesterol crystals

Explanation: Ans. is 'a' i.e., Cholesterol crystals